Ligation of cord in orchidectomy for treatment of testicular tumor is done at -
1. External ring
2. Internal ring
3. Base of scrotum
4. Just above epididiymis

Correct answer: 2. Internal ring

Explanation: • The cord must be ligated as close as possible to the internal ring to facilitate complete removal of cord tissue in case a later retroperitoneal lymph node dissection is required.